Posterior communicating artery is a branch of ?
1. Internal carotid
2. External carotid
3. Middle cerebral
4. Posterior superior cerebellar

Correct answer: 1. Internal carotid

Explanation: Posterior communicating artery is a branch of the cerebral part of the internal carotid artery. The cerebral part lies at the base of the brain.